Rheumatic Heart disease diagnostic criteria includes:
1. Oral ulcer
2. Malar rash
3. Erythema Marginatum
4. Nail telangiectasia

Correct answer: 3. Erythema Marginatum

Explanation: Ans. is 'c' i.e., Erythema marginatum o Criteria for the diagnosis of Rheumatic fever and Rheumatic Heart Disease (Based on the 1992 Revised Jones Criteria)Diagnostic CategoriesCirteriao Primary episode of rheumatic fevero Two major or one major and two minor manifestations plus evidence of preceding group A Streptococca infectiono Recurrent attack of rheumatic fever in a patient without established rheumatic heart diseaseo Two major or one major and two minor manifestations plus evidence of preceding group A streptococcal infectiono Recurrent attack of rheumatic fever in a patient with established rheumatic heart diseaseo Two minor manifestations plus evidence of preceding group A streptococcal infectiono Rheumatic chorea# Insidious onset rheumatic carditiso Other major manifestations or evidence of group A streptococcal infection not requiredo Chronic valve lesions of rheumatic heart disease (patients presenting for the first time with pure mitral stenosis or mixed mitral valve disease and/or arotic disease)o Do not require any other criteria to be diagnosed as having rheumatic heart diseaseq Major manifestationso Carditiso Polyarthritiso Choreao Erythema marginatumo Subcutaneous noduleso Minor manifestationso Clinical: Fever, polyarthralgiao Laboatory: Elevated erythrocyte sedimentation rate or leukocyte counto Electrocardiogram : Prolonged P-R intervalo Supporting evidence of a preceding streptococcal infection within the last 45 dayso Elevated or rising anti-streptolysin O or other streptococcal antibody, oro A positive throat culture, oro Rapid antigen test for group A streptococcal, oro Recent scarlet fever